Which Couinaud segment of liver has independent supply?
1. I
2. II
3. III
4. IV

Correct answer: 1. I

Explanation: Ans. is 'a' i.e., I * Caudate lobe (Couinaud Segment I) (anatomical part of right lobe) belongs physiologically to both right and left lobes because it receives blood from right and left hepatic arteries; right and left branches of portal vein; and drains bile into both right and left hepatic duct. Thus it is considered as physiological independent lobe of the liver.